Right bronchus when compared to left bronchus is
1. Longer and narrow
2. Shorter and narrow
3. Longer and wider
4. Shorter and wider

Correct answer: 4. Shorter and wider

Explanation: Right bronchus shorter and wider than left bronchus. BD CHAURASIA'S HUMAN ANATOMY.VOLUME 1. 6TH EDITION.PAGE NO 239